Drug of choice for Insulinoma is
1. Glucagon
2. Sodium nitroprusside
3. Diazoxide
4. Mecasermin

Correct answer: 3. Diazoxide

Explanation: Diazoxide is K+ channel opener, which is drug of choice for Insulinoma. It was used for hypertensive emergency but can lead to severe hypotension.